Best measure for central tendency in a highly skewed
distribution is:
1. Median
2. Mean
3. Mode
4. Range

Correct answer: 1. Median